The plane of surgical anesthesia during ether anesthesia is defined as
1. Loss of consciousness
2. Loss of consciousness to the onset of spontaneous respiration
3. From onset of regular respiration to cessation of spontaneous breathing
4. Absence of reflexes

Correct answer: 3. From onset of regular respiration to cessation of spontaneous breathing

Explanation: Refer KDT 7th/373 The plane of surgical anesthesia during ether anesthesia is defined as from onset of regular respiration to cesssation of spontaneous breathing